A child presents with complaints of cough. Characteristic inspiratory whoop present. He is not immunised. Sample for investigation is:
1. Nasopharyngeal swab
2. Tracheal aspiration
3. Cough plate culture
4. Sputum culture

Correct answer: 1. Nasopharyngeal swab

Explanation: a. Nasopharyngeal swab(Ref: Nelson's 20/e p 1377-1381, Ghai 8/e p 242-243)For diagnosis of Whooping cough isolation of B. pertussis in culture remains the gold standardThe specimen is obtained with deep nasopharyngeal aspiration or a swabCough plates and postnasal swabs are unsatisfactory because of overgrowth by commensal bacteriaDNA detection by PCR is replacing culture because of increased sensitivity & quicker results.